The treatment of early stage of East African sleeping sickness is by
1. Pentamidine
2. Eflornithine
3. Suramin
4. Melarsopol

Correct answer: 3. Suramin

Explanation: Early stage (Normal CSF)Late stage (Abnormal CSF = CNS involvement)W. African (T. brucei gambiense)PentamidineEflornithineE. African (T. brucei rhodesiense)SuraminMelarsoprol